Psammoma bodies are seen in all of the following conditions except-
1. Follicular CA of thyroid
2. Papillary CA of thyroid
3. Serous cystadenocarcinoma of ovary
4. Meningioma

Correct answer: 1. Follicular CA of thyroid

Explanation: Ans is 'a' i.e. Follicular Ca thyroid